A 6 year old child is continuously  criticized by the teachers in classroom, it is a type of :
1. Physical abuse
2. Failure to thrive
3. Emotional abuse
4. Any of the above

Correct answer: 3. Emotional abuse